Young's operation is done for
1. Atrophic rhinitis
2. Allergic rhinitis
3. Septal hematoma
4. Hypertrophic rhinitis.

Correct answer: 1. Atrophic rhinitis

Explanation: Ans. a (Atrophic rhinitis). (Ref. ENT, PL Dhingra, 3rd ed., 190)ATROPHIC RHINITIS (OZAENA)# Chronic inflammation of nose characterized by atrophy of nasal mucosa & turbinate bones.# Roomy & full of foul-smelling crusts Nasal cavity# Primary etiology:- Hereditary, endocrinal, racial, nutritional, and autoimmune.# Commonly seen in females & starts at puberty# Merciful anosmiaQ# Atrophic ridge like nasal turbinate# Pale nasal mucosa# Septal perforation with saddle nose deformity. Q# Atrophic pharyngitis & laryngitis.# Underdeveloped thick walled paranasal sinuses# Tendency to recover spontaneously in middle age.# Rx:- Medical: Nasal irrigation & removal of crusts, 25% glucose in glycerin, local antibiotics, estradiol spray placental extract, streptomycin, & KI.- Young's operation (both nostrils closed just within vestibule by raising flaps, then opened 6 months later).